Cause of hypophosphatemic rickets - A/E ?
1. Vit D deficiency
2. CRF
3. X-linked hypophosphatemic rickets
4. Fanconi syndrome

Correct answer: 2. CRF

Explanation: Ans. is 'b' i.e., CRF